Which of the following is not included in Sipple's syndrome-
1. Pheochromocytoma
2. Medullary carcinoma thyroid
3. Hyperthyroidism
4. Hyperparathyroidism

Correct answer: 3. Hyperthyroidism

Explanation: MEN type IIA syndrome is known as Sipple's syndrome. It includes →​ Medullary Ca thyroid, Pheochromocytoma, Parathyroid adenoma